Ovulation occurs :
1. Before LH surge
2. After biphasic rise in body temperature
3. After ripening of follicle by FSH
4. Before estrogen peak

Correct answer: 3. After ripening of follicle by FSH

Explanation: Ovulation After estradiol reaches a peak of 200pg/ml and is sustained for about 48 hours, it exerts a possitive feedback action for LH surge Final maturation of follicle is obtained by combined effect of FSH and LH Ovulation occurs 24-48 hours after LH surge Ref: D.C. Dutta's Textbook of Gynaecology, 6th edition, page no: 93